Sudden death occurring after maxillary sinus irrigation is due to:
1. Fat embolism
2. Pulmonary embolism
3. Air embolism
4. Maxillary artery thrombosis

Correct answer: 3. Air embolism

Explanation: Ans. Air embolism